Part of brain most commonly involved in term neonates with hypoxic ischemic encephalopathy is?
1. Periventricular area
2. Parasagittal area
3. Basal ganglia
4. Hippocampus

Correct answer: 2. Parasagittal area

Explanation: Part of brain most commonly involved in term neonates with HIE: Parasagittal area. In preterm neonates- Periventricular area. The most common cause of seizure in newborn is Hypoxic ischemic encephalopathy Most common type of seizures: Subtle seizures